All of the following are actions of Cytotoxic T-cells except
1. They destroy translated & other foreingn cells
2. They display the glycoprotein CDS
3. They can phagocytose cells
4. They act by using perforins and produce lymphotoxins

Correct answer: 3. They can phagocytose cells

Explanation: Phagocytosis is seen in humoral immunity mediated by circulating antibodies produced by B lymphocytes. Cytotoxic T cell destroy transplanted and other foreign cells, with their development, aided and directed by helper T Cell. Cytotoxic T cell displays CD8 and helper T cells display CD4. They kill organisms by inserting perforins into their cell membrane and thus producing holes. Ref: Ganong's Review of medical physiology, 24th edition.Pg no. 69 Textbook of medical physiology by N Geetha, 2nd edition, page no. 96,97